Sistrunk's operation is done for?
1. Parotid fistula
2. Thyroglossal fistula
3. Thyroglossal abscess
4. Branchial fistula

Correct answer: 2. Thyroglossal fistula

Explanation: Ans. b (Thyroglossal fistula) (Ref. Bailey and Love 26th/pg. 702) THYROGLOSSAL DUCT CYSTS Embryology # The thyroid gland descends early in fetal life from the base of the tongue towards its position in the lower neck with the isthmus lying over the second and third tracheal rings. # At the time of its descent, the hyoid bone has not been formed and the track of the descent of the thyroid gland is variable passing in front, through or behind the eventual position of the hyoid body. # Thyroglossal duct cysts represent a persistence of this track and may, therefore, be found anywhere in or adjacent to the midline from the tongue base to the thyroid isthmus. Clinical Features # Classically, the cyst moves upwards on swallowing and notably with tongue protrusion but this may occur with other midline cysts, such as dermoid cysts, as it merely indicates attachment to the hyoid bone. Treatment # Treatment must include excision of the whole thyroglossal tract which involves removal of the body of the hyoid bone and the suprahyoid tract through the tongue base to the vallecula at the site of the primitive foramen caecum together with a core of tissue on either side (Sistrunk's operation).